Renal carcinoma with solitary lung secondary is best treated by
1. Radiotherapy
2. Surgery
3. Chemotherapy
4. Immunotherapy

Correct answer: 2. Surgery

Explanation: Surgery is the best option because 1) cytoreductive surgery will help in increase the action of immunotherapy 2) metstatectomy ( surgery to remove metstatectomy ) with curative intent has good prognosis in pulmonary Mets Ref : Campbell and Walsh urology 11th edition . chapter 63. pg no 1502